Which of the following IPC section makes the printing or publication of the identity of the rape victim punishable?
1. Section 300 A
2. Section 228 A
3. Section 224 A
4. Section 227 A

Correct answer: 2. Section 228 A

Explanation: According to Indian Penal Code (Section 228-A) disclosing identity of rape victim has been made punishable. Law states : Whoever prints or publishes the name or any matter which may make known the identity of any person against whom an offence under section 376, section 376A, section 376B, section 376C or section 376D is alleged or found to have been committed (hereafter in this section referred to as the victim) shall be punished with imprisonment of either description for a term which may extend to two years and shall also be liable to fine.